Shell teeth are more common in the_______type of dentinogenesis imperfecta(According to Sheild's classification)
1. Type 1
2. Type 2
3. Type 3
4. Type 4

Correct answer: 3. Type 3

Explanation: In type I and type II, the interlocking at DEJ is absent.
Enamel chipps off easily. The defective dentine undergoes rapid attrition, but teeth are not susceptible to caries.
The most striking feature is the partial or total precocious obliteration of pulp chambers by continuous deposition of dentine.
"Shell teeth" refers to a type III - Valiant with thin shell of defective dentine underlying normal enamel. The pulp chambers are wide and large. (Type II according to revised classification)
The features may also resemble as in Type I and Type II. Roots are short with nb signs of resorption.
Shell teeth are more common in this variant of dentinogenesis  imperfecta  ___  (Kar 01) (Type III)
 Absence of pulp chambers is seen in __(Man 97) (Dentinogenesis imperfect)